A child with pyoderma becomes toxic and presents with respiratory distress. His CXR shows patchy areas of consolidation and multiple bilateral thin walled air containing cysts. The most likely etiological agent in this case is:
1. Mycobacterium TB
2. Staph aureus
3. Mycobacterium avium intracellulare (MAC)
4. Pneumocystis jiroveci

Correct answer: 2. Staph aureus

Explanation: b. Staph aureus(Ref: Nelson's 20/e p 2088-2093, Ghai 8/e p 379-381)The given chest X-ray finding is suggestive of pneumonia with pneumatoceles, seen in infection due to Staph aureus.